Henoch Schoniein purpura is characterized by all except -
1. Thrombocytopenia
2. Glomerulonerphritis
3. Arthralgia
4. Abdominal pain

Correct answer: 1. Thrombocytopenia